Which of the following thyroid malignancy has the best outcome -
1. Papillary
2. Medullary
3. Anaplastic
4. Mixed

Correct answer: 1. Papillary

Explanation: Ans. is 'a' i.e., Papillary "In general pts. with PTC have an excellent prognosis with a greater than 95% 10-year survival rate." - Schwartz* Papillary carcinoma of thyroid is a slow growing tumor, usually not associated with blood borne metastasis, and hence has a better prognosis than the other varieties.* Follicular, Medullary and Anaplastic carcinomas are all associated with a greater incidence of blood borne metastasis and a poorer prognosis.